All of the following are indications for postoperative radiotherapy in a case of Carcinoma Endometrium except
1. Myometrial invasion >1/2 thickness
2. Positive lymph nodes
3. Endocervical involvement
4. Tumour positive for estrogen receptors

Correct answer: 4. Tumour positive for estrogen receptors

Explanation: As far as receptor status is concerned, the best correlation is that of a good prognosis with high progesterone receptors rather than a poor prognosis with high estrogen receptors. The best prognostic factor of cancer endometrium, amongst others, is the Histological grading of the diseaseOther important predictors are:* Depth of myometrial invasion * Status of pelvic and para-aortic lymph nodes* Malignant cells in peritoneal washings * Lymph-vascular invasion* Cervical invasion